CML treatment-
1. Vincristine
2. Imatinib
3. Cyclophosphamide
4. Methotrexate

Correct answer: 2. Imatinib

Explanation: Ans. is 'b* i.e., Imatinib Treatment of CM.L.Hematopoietic cellTyrosine kinaseOther agentstransplantationinhibitors oCurative treatmento These are used in patientso These patients can causeo Younger patients with stablewith chronic diseaseremission but with thedisease who have a suitableo They do not produce cureadvent of HCT anddonorbut cause remissionthe oral TKl's the use of othero Key component of the treatmento Initial treatment of choicechemotherapeutic agents isof accelerated phase and blastfor almost all newly diag-of historical interest now.crisisnosed patients with CML Tyrosine kinase inhibitors are the treatment of choice for chronic myeloid leukemiao First and second-generation oral tyrosine kinase inhibitors (eg, imatinib, dasatinib, nilotinib) target the "constitutivelv active tvrosine kinase" implicated in the pathogenesis of CML."Although they do not cure the disease, these aeents are able to achieve longterm control of CML in the majority ofpatients; th us. they have become the initial treatment of choice for almost all newly diagnosed patients with CML."Other aeentso Other agents were much more commonly used in CML prior to the advent of the TKIs.o These include hydroxyurea, interferon alpha with or without cytarabine, Busulfan.o Up to 90 percent ofpatients will have a hematologic remission, amelioration of symptoms, and reduction or elimination of splenomegaly with these agents. However, these are considered palliative therapy since they are not curative, do not prolong overall survival, and only rarely result in attainment of a cytogenetic response.